In a woman on DMPA injections for the past 1 year, the menstrual abnormality most commonly seen is:
1. Menorrhagia
2. Metrorrhagia
3. Polymenorrhoea
4. Amenorhoea

Correct answer: 4. Amenorhoea

Explanation: With continuous progesterone present in the body due to the injections, there is regular inhibition of estrogenic proliferation of the endometrium and hence the prolonged usage can result in total absence of endometrial proliferation and consequent amenorrhea. Intermenstrual bleeding or spotting may also occur.